A male infant is brought to the emergency with vomiting, lethargy, dehydration and  features of shock. clinical examination reveals hyperpigmentation of genital skin and normal external genitalia. Blood investigation reveal sodium 124mg/L. Potassium 7 meq / L hypoglycemia. what is the most probable diagnosis?
1. Adrenal hemorrhage
2. Congenital adrenal hyperplasia(CAH)
3. Acute Gastroenteritis with dehydration
4. Hyperaldosteronism

Correct answer: 2. Congenital adrenal hyperplasia(CAH)